In a mammogram all of the following are features of carcinoma breast EXCEPT-
1. A solid lesion with ill defined edge or stellate configuration
2. True microcalfication
3. Areas of macrocalcification
4. Increased skin thickness

Correct answer: 3. Areas of macrocalcification